All are causes of hypervolemic hyponatremia except
1. Hypothyroidism
2. Cirrhosis
3. Chronic renal failure
4. Nephrotic syndrome

Correct answer: 1. Hypothyroidism

Explanation: Causes of hypervolemic hyponatremia Urine sodium concentration >20 mmol/L Acute or chronic renal failure Urine sodium concentration <20 mmol/L Nephrotic syndrome Cirrhosis Cardiac failure Causes of Euvolemic hyponatremia Glucocorticoid deficiency Hypothyroidism Stress Drugs Syndrome of inappropriate antidiuretic hormone secretion Ref: Harrison 19e pg: 299